Test which is not done for varicose veins:
1. Perthe's test
2. Tourniquet test
3. Trendelenberg test
4. Adson's test

Correct answer: 4. Adson's test

Explanation: Ans. D: Adson test Varicose veins: Dilated, tortuous superficial veins that result from defective structure and function of the valves of the Saphenous veins, from intrinsic weakness of the vein wall or from high intra-luminal pressure Duplex imaging is gold standard Brodie trendlenburg test demonstrates sapheno-femoral incompetence Stripping if done leads to ecchymosis Scelrosant used: Ethanolamine oleate Cocket and Dodds operation is done (subfascial ligation)